Ochronosis is due to deficiency of -
1. Kynureninase
2. Tyrosine hydroxylase
3. Homogentisate oxidase
4. Tyrosinase

Correct answer: 3. Homogentisate oxidase

Explanation: Ans. is 'c' i.e., Homogentisate oxidase Metabolic diseaseEnzyme deficientMaple syrup urine diseaseMethyl-melonic aciduriaSweaty feet odor in bodyTyrosinemia I (Tyrosinosis)Tyrosinemia IINeonatal tyrosinemiaAlbinismBranched chain ketoacid dehydrogenaseMethyl-malonyl CoA mutase (isomerase)Isovaleryl-CoA dehydrogenaseFumarylacetoacetate hydroxylaseTyrosine transaminase (Tyrosine aminotransferase)Hydroxyphenyl pyruvate hydroxylaseTyrosinaseAlkaptonuriaPhenylketonuria Orotic aciduria Homocystinuria Lesh-Nyhan syndrome CystinosisHomogentisate oxidasePhenylalanine hydroxylaseOMP decarboxylaseCystathionine synthataseComplete deficiency of enzyme HGPRTCystine reductaseNote: Ochronois is alkaptonuria.